A test comes negative but the disease was present in subject. This is:
1. False positive
2. False negative
3. True positive
4. True negative

Correct answer: 2. False negative